Streptococcal glomerulonephritis is best diagnosed by:
1. ASO titre
2. Anti DNAse
3. Hyaluronidase
4. Culture

Correct answer: 2. Anti DNAse

Explanation: In streptococcal glomerulonephritis, ASO titre is often low. So, retrospective diagnosis is made by anti DNAase and antihyaluronidase.